Dennies Morgan fold is indicative of:
1. Dermatitis herpetiformis
2. Atopic dermatitis
3. Leprsoy
4. TB

Correct answer: 2. Atopic dermatitis

Explanation: Ans. B i.e. Atopic dermatitis Atopic dermatitis Also known as: Itch disease Childhood and adolescent pattern of atopic dermatitis is marked by: - Flexural skin dermatitis - Particularly in the ante-cubital fossa/ popliteal fossa Other features of AD: - Perioral pallor, - Dennies line, - Increased palmar markings etc. Best test to diagnose AD: Clinical examination Berloque dermatitis is due to: Cosmetics